Which is the 1st carpal bone to ossify?
1. Capitate
2. Lunate
3. Hamate
4. Pisiformis

Correct answer: 1. Capitate

Explanation: Ans. A CapitateRef: Kulkarni Clinical Anatomy, 2nd ed. pg. 80* The carpal bones are cartilaginous at birth. Capitate is the first bone to ossify at 1 year and pisiform the last one to ossify at 12 years.Extra Mile* Scaphoid is boat-shaped. Its neck or waist subdivides the scaphoid into proximal and distal segments. A tubercele projects from its lateral side. It lies in the floor of anatomical snuff-box, where it can be palpated.* Lunate is shaped like lunar crescent (shape of half moon).* Triquetral is pyramidal in shape.* Pisiform is pea-shaped. It is a sesamoid bone in the tendon of flexor carpi ulnar is.* Trapezium is quadrilateral and bears a crest and groove (for lodging tendon of flexor carpi radialis). It takes part in the first carpometacarpal joint, which imparts unique mobility to human thumb.* Trapezoid is irregular like a baby's shoe.* Capitate bears a big head. It is largest carpal bone.* Hamate has a hook-shaped process.